Artificial bruise is commonly seen in which of the following irritant poison
1. Strychnos nux vomica
2. Semicarpus anacardium
3. Abrus precatorius
4. Capsicum annum

Correct answer: 2. Semicarpus anacardium

Explanation: Artificial bruise: 1. Cause: Juice of Semicarpus anacardium (marking nut tree), Calotropis or Plumbago rosea 2. Color: Dark brown 3. Shape: Irregular 4. Site: Exposed accessible parts 5. Margins: Well-defined and regular, covered with small vesicles 6. Redness and inflammation: Seen in surrounding skin 7. Itching: Present 8. Vesicles: May be found on fingertips due to scratching 9. Contents: Acrid serum 10. Chemical tests: Positive for the chemical